Which is the enzyme deficient in Tyrosinemia type I
1. Tyrosine Transainase
2. CPS - I
3. Fumaryl aceto acetate hydrolase
4. Arginosuccinate synthetase

Correct answer: 3. Fumaryl aceto acetate hydrolase

Explanation: Option A): Tyrosinemia Type II
Option B): Hyperammonemia type I
Option D): Cirtrullinemia type I